Which of the following is not always a true odontogenic infection
1. Periapical abscess
2. Periodontal abscess
3. Maxillary sinusitis
4. None of the above

Correct answer: 3. Maxillary sinusitis

Explanation: → Orofacial infections may be odontogenic or non-odontogenic in nature.
→ Majory of odontogenic infections are caused by the endogenous bacteria present in the oral cavity. Eg: Periapical and periodontal infections.
→ Most of non-odontogenic infections are associated with an underlying medical condition Eg: Non-odontogenic infections of the skin, tonsils, or maxillary sinuses.
→ Occasionally, infections could develop following an anesthetic injection or a surgical procedure.